Mr. and Mrs. Annadurai have a 2 month old baby suffering with down's syndrome. Karyotype of Mrs. Annadurai shows translocation variety of Down syndrome. Which of the following investigation will you advise to the parents before the next pregnancy ?
1. Triple test
2. a-fetoprotein
3. Karyotyping
4. p-human chorionic gonadotropin

Correct answer: 3. Karyotyping

Explanation: Ans. is c i.e. Karyotyping Well friends even if you do not know the answer, you can easily derive it, as the question specifically asks for an investigation before the next pregnancy. Out of the options provided only karyotyping is of value prior to next pregnancy, the remaining three being of significance during the antenatal period of next pregnancy (for detection of fetal affection with Down's syndrome).